Invasion of perineural space is a feature of
1. Pleomorphic adenoma
2. Warthin's tumor
3. Mucoepidermoid carcinoma
4. Adenoid cystic carcinoma

Correct answer: 4. Adenoid cystic carcinoma

Explanation: Adenoid cystic carcinoma Most common location -Parotid & submandibular glands are M/E - Small cells having dark, compact nuclei & scant cytoplasm. Pattern : Tubular, solid, or cribriform patterns reminiscent of cylindromas arising in adnexa of skin Slow growing, adenoid cystic carcinomas are unpredictable tumors with tendency to invade perineural spaces & are stubbornly recurrent.